Cholinomimetic is not used for
1. Open angle glaucoma
2. Bradycardia
3. Cobra bite
4. Myasthenia gravis

Correct answer: 2. Bradycardia

Explanation: Ans. b. Bradycardia Cholinomimetic is used for Open angle glaucoma, Cobra bite and Myasthenia gravis Uses of Cholinomimetic Diseases of eye: Glaucoma and accommodative esotropiadeg Gastrointestinal and urinary tract: Post-operative atonydeg, neurogenic bladderdeg Neuromuscular junction: Myasthenia gravisdeg, Curare induced neuromuscular paralysis Heart: Certain atrial arrhythmiasdeg Atropine overdosesdeg Alzheimer's diseasedeg Cobra bitedeg: Neostigmine and endrophonium (Harrison 18/e p3570)